True about TIPS -a) It is a type of portocaval shuntb) It is intrahepatic shuntc) Performed by passing endoscopesd) Most suitable for patient going for liver transplant
1. acd
2. bcd
3. abc
4. abd

Correct answer: 4. abd

Explanation: Transjugular intrahepatic portosystemic shunt (TIPS)

This is a minimally invasive way of creating a nonselective type of portosystemic shunt between the portal vein and the hepatic vein, through the liver. It functions as a side-to-side portocaval shunt.
A catheter is introduced through the jugular vein and, under radiologic control, positioned in the hepatic vein. From this point, the portal vein is assessed through the liver, the tract is dilated, and the channel is kept open by inserting an expandable metal stent, which is left in place.
TIPS is of great value in controlling refractory variceal bleeding due to portal hypertension.
Its major disadvantage is restenosis over a period of months, requiring revision or a second TIPS operation.
Due to restenosis, TIPS is used only for short-term portal decompression - Thus TIPS serves a useful role as a 'bridge' for those patients with end stage liver disease awaiting transplantation i.e. the patient is protected from bleeding in the interim period when the things get ready for transplantation.
Another group of patients in whom TIPS may be advantageous include those with advanced hepatic functional decompensation who are unlikely to survive long enough for the TIPS to malfunction.
TIPS is also effective in medically intractable ascites and Budd-Chiari syndrome.